Toxins responsible for epidemic dropsy
1. Sanguinarine
2. BOAA
3. Pyrrolizidine alkaloids
4. Aflatoxin

Correct answer: 1. Sanguinarine

Explanation: Ans. is 'a' i.e. Sanguinarine Epidemic dropsyIs caused d/t contamination of mustard oil with argemone oil (Argemone mexicana or prickly poppy)Active component of argemone mexicana is Sanguinarine. It interferes with the oxidation of pyruvic acid which accumulates in the blood.Symptoms of epidemic dropsySudden, non-inflammatory, bilateral swelling of legs.DiarrhoeaDyspneaCardiac failureGlaucomaEpidemic dropsy may occur at all ages except breast-fed infants.Tests used for the detection of argemone oil in mustard oilNitric acid testPaper chromatography test - This is the most sensitive testRememberFood borne diseasesToxinsLathyrismBeta Oxatyl Amino Alanine (BOAA) found in the seeds of the pulse Lathyrus sativa (Khesari dhal).Epidemic dropsySanguinarine found in argemone oilEndemic ascitesPyrrolizidine alkaloids found in weed seeds of Crotalaria (Jhunjhunia)